Moraxella catarrhalis is resistant to which antibiotic?
1. Amoxicillin
2. Clarithromycin
3. Azithromycin
4. Amoxicillin and clavulanic acid combination

Correct answer: 1. Amoxicillin

Explanation: Ans. is 'a' i.e., Amoxicillin Treatment of M. caterrahlis infection: M. catarrhalisrapidly acquired -lactamases during the 1970s and 1980s; antimicrobial susceptibility patterns have remained relatively stable since that time, with >90% of strains now producing -lactamase and thus resistant to amoxicillin. Most strains of M. catarrhalisare susceptible to amoxicillin and clavulanic acid combination, extended-spectrum cephalosporins, newer macrolides (azithromycin, clarithromycin), trimethoprim- sulfamethoxazole, and fluoroquinolones.